A 28 year old sexually active male presents with burning micturation. On clinical examination no ulcer in the genitals. Urine examination shows 50 WBCs/HPF, no RBCs, leucocyte esterase positive, gonococcal culture negative. What could be the most probable causative organism ?
1. Treponema pallidum
2. Neisseria
3. Chlamydia trachomatis
4. H. ducreyi

Correct answer: 3. Chlamydia trachomatis